Not an Aberration of Normal Development and Involution (ANDI)
1. Fibroadenoma
2. Duct ectasia
3. Cyclical mastalgia
4. Intraductal papilloma

Correct answer: 4. Intraductal papilloma